Tuberculin test screens for
1. Humoral immunity
2. Cell mediated immunity
3. Complement function
4. Phagocyte dysfunction

Correct answer: 2. Cell mediated immunity